Treatment of asymptomatic bradycardia is
1. No treatment is required
2. Give atropine
3. Isoprenaline
4. Cardiac pacing

Correct answer: 1. No treatment is required

Explanation: Ans. is 'a' i.e., No treatment is required